Fine touch and position sense is carried by
1. Lateral spinothalamic tract
2. Anterior spinothalamic tract
3. Spinocerebellar tract
4. Dorsal column

Correct answer: 4. Dorsal column

Explanation: Ans. (d) Dorsal column(Ref: Ganong, 25th ed/p.168)Dorsal column pathway is the principal pathways for touch, vibration and proprioception. They primarily contain Aa and Ab afferentsThey ascend ipsilaterally (same side) in dorsal column of spinal cord to medullaIn medulla, they synapses with two important nuclei namely gracilis and cuneate nuclei. They cross the midline and ascend in the medial lemniscus to end in the contralateral ventral posterior lateral (VPL) nucleus